Intermediate host for hydatid disease -
1. Man
2. Dog
3. Sheep
4. Foxes

Correct answer: 3. Sheep

Explanation: The larval stage is present in the animals including man,giving rise to hydatid cyst.Sheep ,pigs,cattle ,horse and goat may act as intermediate host.man is an accidental host of echinococcus Hydatid cyst involve liver , lung,brain,heart,kidney,spleen,bone,musclesetc. Liver is the commonest site and right lobe is frequently involved.The disease remains symptomless for many years.Chronic abdominal discomfort may be present in case of liver cyst.Cyst in the lungs are asympotomatic but may cause cough , breathlessness or chest pain Ref: panikers textbook of Medical parasitology 8th edition page 131